Myoglobinuria is usually seen in
1. Chemical burn
2. Sun burn
3. Electric burn
4. Closed room burn

Correct answer: 3. Electric burn

Explanation: Myoglobinuria means muscle death which happens extensively in electric shock.